Endogenous chemoattractant is
1. C5a
2. Bacterial products
3. Lipopolysaccharide A
4. C8

Correct answer: 1. C5a

Explanation: Ref Robbins 8/e p66;7/e p56;9/e p77 C5a is a strong chemoattractant and is involved in the recruitment of inflammatory cells such as neutrophils, eosinophils, monocytes, and T lymphocytes, in activation of phagocytic cells and release of granule-based enzymes and generation of oxidants, all of which may contribute to innate immune functions or tissue ...